Erythropoietin production is inhibited by -
1. Estrogen
2. Progesterone
3. Thyroxine
4. Testosterone

Correct answer: 1. Estrogen

Explanation: Ans. is 'a' i.e., Estrogen o The most important stimulus for erythropoietin secretion is hypoxia. Other stimulus that can increase its secretion are cobalt salts, androgens, alkalosis due to high altitude, and catecholamines via b-adrenergic mechanism.o Pregnancy (due to placental lactogen), testosterone and prolactin increase the activity of erythropoietin. Estrogen inhibits utilization of erythropoietin by marrow cells and also impairs its production. Progesterone increase the effect of erythropoietin by enhancing the effect of placental lactogen and by antagonizing the effect of estrogen.